'Obstruction of Inferior vena cava' presents -
1. Paraumbilical dilatation
2. Thoracoepigastric dilatation
3. Oesophageal varices
4. Haemorrhoids

Correct answer: 2. Thoracoepigastric dilatation

Explanation: Obstruction of inferior vena cava presents as thoracoepigastric dilatation because the vessels involved are the superficial veins, namely, superficial epigastric, lateral thoracic, thoracoepigastric.